Antipseudomonals are all, EXCEPT :
1. Cephalexin
2. Carbenicillin
3. Piperacillin
4. Ceftazidime

Correct answer: 1. Cephalexin